Which of the are the following contraindication for halothane used:
1. Male sex
2. Middle age
3. Recent halothane use
4. All

Correct answer: 3. Recent halothane use

Explanation: C i.e. Recent halothane use